Human is dead end host for-
1. Malaria
2. Typhoid
3. Bubonic plague
4. Filaria

Correct answer: 3. Bubonic plague

Explanation: Ans. is 'c' i.e., Bubonic plague o A dead end host is an infected person from wrhich infectious agents are not transmitted to other susceptible host or from which a parasite cannot escape to continue its life cycle.o The diseases in which human acts as dead end host, i.e., dead and disease : -1. Japanies encephalitis3. Trichinosis5. Bubonic plaque2. Echynococcosis (hydatid disease))4. Tetanus